Hertwig's root sheath is formed from
1. Stratum inter medium
2. Stellate reticulum
3. Outer enamel epithelium
4. Cervical loop/ Enamel Organ

Correct answer: 4. Cervical loop/ Enamel Organ